Alma Ata conference was held in:
1. 1948
2. 1956
3. 1977
4. 1978

Correct answer: 4. 1978

Explanation: Alma-Ata Conference : Took place in USSR in 1978 It gave the concept of 'primary health care' (and its 8 elements) Called for WHO goal of 'Health for all by 2000' India is signatory Ref:Park 25th edition Pgno : 951